True about TPN
1. Carbohydrate forms about 40% of energy source
2. In abdominal injury early parenteral nutrition should be started
3. Proteins forms 60% of energy source
4. Lipids form 20% of energy source

Correct answer: 4. Lipids form 20% of energy source

Explanation: Calories from amino acid 20-25% lipids 20% dextrose 55-60% Abdominal injuries, we need not start TPN unless we anticipate atleast 2 weeks of bowel rest.